Deficiency of Copper causes
1. Anemia
2. Wilson's disease
3. Hypothyroidism
4. Obtundation

Correct answer: 1. Anemia

Explanation: (A) Anemia